Deficiency of which element can lead to syndrome of growth failure, anaemia and hypogonadism ?
1. Calcium
2. Copper
3. Zinc
4. Magnesium

Correct answer: 3. Zinc

Explanation: Ans. is 'c' i.e., Zinc